Nelton's line is line joining
1. Anterior superior iliac spine and umbilicus
2. Posterior iliac spine and ischial tuberosity
3. Anterior superior iliac spine and ischial tuberosity
4. Posterior iliac spine and umbilicus

Correct answer: 3. Anterior superior iliac spine and ischial tuberosity